In a patient with head injury black eye associated with subconjuctival hemorrhage occurs when there is
1. Fracture of floor and anterior cranial fossa
2. Bleeding between the skin and galea aponeurotica
3. Hemorrhage between galea aponeurotica and pericranium
4. Fracture of greater wing of sphenoid bone

Correct answer: 1. Fracture of floor and anterior cranial fossa

Explanation: Panda sign (Raccoon sign, Spectacle haematoma, Black eye): Haemorrhages in soft tissues around the eye and in the eyelids is known as Panda sign as it resembles panda eyes. It is caused by: 1. Direct trauma, such as punch to the eye. 2. Blunt impact to the forehead, the blood gravitating downwards over the supraorbital ridge. 3. Fracture of the floor of the anterior fossa of the skull. Ref: SRB's Manual of Surgery, 4th Edition, pg. no. 1284